Adductor pallicis is supplied by
1. Median nerve
2. Radial nerve
3. Ulnar nerve
4. AIN branch of median nerve

Correct answer: 3. Ulnar nerve